Hard deposits found on tooth and appliances in an
uncleaned mouth is called
1. Plaque
2. Calculus
3. Materia alba
4. None

Correct answer: 2. Calculus